Most common cause of dementia is -
1. Alzhiemer's disease
2. Vascular dementia
3. Wilson's disease
4. Pick's disease

Correct answer: 1. Alzhiemer's disease

Explanation: Ans. is 'a' i.e., Alzhiemer's diseaseCauses of dementiaReversible causes Surgically treatableo Normal pressure hydrocephaluso Brain tumors (frontal lobe tumor)o Meningiomao Subdural hematoma (Head injury)o HydrocephalusMedically treatable o Hypothyroidismo Depressiono HIV infectiono Alcohol abuseo Vitamin B12 , Folate. Niacin deficiencyo Any metabolic or endocrine disturbanceo Neurosyphiliso Hashimoto's encephalopathyo Wilson's diseaseo Celiac disease or Whipple's diseaseo Chronic meningoencephalitiso Drugs and toxin (toxic dementia)Irreversible causeso Alzheimer s diseaseo Vascular (Multi-infarct) dementia o Parkinson's diseaseo Huntington's choreao Creutzfeld Jakob diseaseo Lewy body dementiao Pick's diseaseo Overall Alzheimer's disease is the most common cause. Vascular dementia is the 2nd most common cause.